Which of the following increases GnRH pulsatility
1. Oestrogen
2. Progesterone
3. Androgens
4. None

Correct answer: 1. Oestrogen

Explanation: Oestrogen increases GnRH pulse frequency.